CSF rhinorrhoea is diagnosed by -
1. Beta 2 microglobulin
2. Beta 2 transferrin
3. Thyroglobulin
4. Transthyretin

Correct answer: 2. Beta 2 transferrin

Explanation: Beta 2 transferring is a protein seen in CSF and not in nasal discharge. Thus its presence is specific and sensitive for diagnosing CSF rhinorrhea. (Ref: Textbook of diseases of ENT, PL Dhingra, 7th edition, pg no. 184)